All of the following occurs in adrenal deficiency except
1. Hypoglycemia
2. Hypocalcemia
3. Hypotension
4. Hyponatremia

Correct answer: 2. Hypocalcemia